Axial resolution in optical coherence tomography is about:
1. 10 m
2. 30 m
3. 100 m
4. 300 m

Correct answer: 1. 10 m

Explanation: Ans. 10 m